Glucose symport occurs with
1. Na+
2. K+
3. Ca++
4. Cl-

Correct answer: 1. Na+

Explanation: Glucose transport in the intestine is associated with sodium transport Ref: guyton and hall textbook of medical physiology 12 edition page number:429,430,431